Most severe luxation injury among the following:
1. Concussion
2. Lateral luxation
3. Extrusion
4. Intrusion

Correct answer: 4. Intrusion

Explanation: order of luxation injuries on the basis of Severity:
Concussion<subluxation<lateral luxation<extrusion<intrusion